In which of the following conditions bilateral contracted kidneys are characteristically seen?
1. Amyloidosis
2. Diabetes mellitus
3. Rapidly progressive glomerulonephritis
4. Benign nephrosclerosis

Correct answer: 4. Benign nephrosclerosis

Explanation: Benign Nephrosclerosis, Kidneys are either normal or moderately reduced in size on gross appearance. Loss of mass is due mainly to cortical scarring and shrinking. In kidneys, the Arteriolar narrowing caused by hyaline arteriosclerosis leads to diffuse vascular compromise and nephrosclerosis ( glomerular scarring ) leading to bilateral contracted kidneys.